Elongated rete pegs are seen in:
1. Alveolar mucosa
2. Floor of the mouth
3. Attached gingiva
4. Buccal mucosa

Correct answer: 3. Attached gingiva